A 14 year old healthy girl of normal height and weight for age, complains that her right breast has developed twice the size of her left breast since the onset of puberty at the age of 12. Both breasts have a similar consistency on palpation with normal nipples areolae. The most likely cause for these findings is -
1. Cystosarcoma phyllodes
2. Virginal hypertrophy
3. Fibrocystic disease
4. Early state of carcinoma

Correct answer: 2. Virginal hypertrophy

Explanation: • Massive enlargement of usually both breasts
• It can also be unilateral
• Usually occurs due to an alteration in the normal sensitivity of the breast to estrogenic hormones
• Treatment: Reduction mammoplasty